Cnrnnonent of Advanced cardiovascular life support (ACLS) in accordance to AHA 2015 guideline:
1. Chest compression 100-150 per minute
2. Chest compression at least 5 cm/2 inch
3. Vasopressors is used to maintain MAP > 70 mmHg in non-responsive to fluids
4. 1 Breath every 8 seconds

Correct answer: 2. Chest compression at least 5 cm/2 inch

Explanation: Ans. B. Chest compression at least 5 cm/2 inchBasic life support (BLS), advanced cardiovascular life support (ACLS), and post-cardiac arrest care all describe a set of skills and knowledge applied sequentially during the treatment of patients who have a cardiac arrest.ACLS comprises the level of care between BLS and post-cardiac arrest careUpdate recommendations for advanced cardiac life support 2015:The combined use vasopressin and epinephrine offers no advantage to using standard-dose epinephrine in cardiac arrest.Vasopressin has been removed from the Adult Cardiac Arrest Algorithm-2015 update.Advanced Cardiac Life Support:Continuous chest compressions at a rate of lil)/rnin to 120/min, vnthout pauses for ventilation. The provider delivering ventilation should provide 1 breath every 6 seconds (10 breaths per minute).It may be reasonable to avoid and immediate$r correct hypotension (SBp < 90 mm Hg, MAp < 65 mmHg) during post-cardiac arrest care.